A 72-year-old man presents to the emergency department complaining of frequent nose-bleeds. What is the most likely site of acute epistaxis?
1. Turbinate
2. Septum
3. Maxillary sinus
4. Ethmoid sinus

Correct answer: 2. Septum

Explanation: The most common source of epistaxis is Kisselbach's vascular plexus on the anterior nasal septum. Predisposing factors include foreign bodies, forceful nose-blowing, nose-picking, rhinitis and deviated septum